Which of the following muscle acts as abductor of vocal cords?
1. Lateral cricoarytenoid
2. Posterior cricoarytenoid
3. Anterior, cricoarytenoid
4. Cricothyroid

Correct answer: 2. Posterior cricoarytenoid

Explanation: Posterior Cricoarytenoid Muscle: The posterior cricoarytenoid muscle arises from the posterior aspect of the cricoid cartilage and courses upward and laterally to attach to the muscular process of the arytenoid cartilage. Its contraction pulls the muscular process backward and rotates the arytenoid cartilage around a vertical axis so that the two vocal processes are abducted and the size of the rima glottidis is increased.